The reason for sealing caries during cavity preparation is:
1. To eliminate the need for eventual direct pulp capping
2. Produce an aseptic field when pulp exposure is inevitable
3. To allow the formation of secondary dentin before excavation
4. To produce a hard surface as a foundation for subsequent restoration

Correct answer: 3. To allow the formation of secondary dentin before excavation